Cholesterol structurally belongs to molecule
1. Steroid
2. Carbohydrate
3. Urea
4. Peptide

Correct answer: 1. Steroid

Explanation: Steroid

Sterols are a class of steroids which contain one or more hydroxy (OH) groups.
Cholesterol is the most important sterol.